Functional GI disorders can be differentiated from organic GI disorders by-
1. Abdominal pain
2. Diarrhoea
3. Tenesmus
4. Bleeding PR

Correct answer: 4. Bleeding PR